A stainless steel crown should normally extend below
the gingival crest approximately:
1. 1 mm
2. 1.5 rnm
3. 2 mm
4. 2.5 mrn

Correct answer: 1. 1 mm